Suitable environmental conditions for mummification:
1. Lying in water
2. Inside shallow soil
3. Dry & hot air
4. Under earth

Correct answer: 3. Dry & hot air

Explanation: Ans. (C). Dry & hot airMummification is dehydration or drying of bodyQ.Absence of moistureQ, hotairQ, drysandysoilQ, arsenic, antimonyQ favour mummification.